A CSF/serum glucose ratio of < 0.4 is highly suggestive of:
1. Bacterial Meningitis
2. Viral Meningitis
3. Carcinomatous Meningitis
4. Acanthameba meningitis

Correct answer: 1. Bacterial Meningitis

Explanation: - Hypoglycorrhachia (Low CSF: serum glucose ratio) is commonly seen in Bacterial meningitis. CSF findings: